All of the following cause high anion gap metabolic acidosis except -
1. Lactic acidosis
2. Salicylats poisoning
3. Ethylene glycol poisoning
4. Ureterosigmoidostomy

Correct answer: 4. Ureterosigmoidostomy

Explanation: Causes of High anion gap acidosis 

Lactic acidosis     
Toxins 


Ethylene glycol
Methanol 
Salicylates 

    3. Renal failure 
    4. Ketoacidosis
   a) Diabetes
   b) Alcohol
   c) Starvation